Primary consideration in any oral health preventive programme?
1. Fluoride application
2. Diet control
3. Plaque control
4. Pit & fissure sealant

Correct answer: 3. Plaque control